Eschar is seen in all the Rickettsial diseases excent:
1. Scrub typhus
2. Rickettsial pox
3. Indian tick typhus
4. Endemic typhus

Correct answer: 4. Endemic typhus

Explanation: Ans. is. 'd' i. e., Endemic typhus